Manifestation of squint in children are all EXCEPT
1. Diplopia
2. Confusion
3. Deviation of eye
4. Stereopsis

Correct answer: 4. Stereopsis

Explanation: D i.e. Stereopsis Stereopsis means binocular depth perception. In squint due to deviation of eye the two images formed in two eyes are vastly different and the brain is unable to fuse them resulting in diplopia, confusion, nausea & vomiting. Therefore, in squint there is no stereopsis Q